Which among the following can be considered as various modes of death:
1. Somatic, molecular
2. Suicide, homicide, accidental
3. Asphyxia, syncope, coma
4. brain death, natural death, unnatural death

Correct answer: 3. Asphyxia, syncope, coma

Explanation: Ans: c (Asphyxia, syncope, coma) Ref: Reddy, 27th ed, p. 121The different modes of death are:AsphyxiaSyncopeComaSomatic death:Complete irreversible stoppage of circulation, breathing, and brain functionBrain death:Features of brain death are deep coma, no breathing, no cardiac function, no reflexes, fixed dialated pupil and flat EEGMolecular death:Death of cells or tissue individually